Antifreeze ingestion leads to?
1. Increased osmolar gap
2. Reduced osmolar gap
3. Normal anion gap metabolic acidosis
4. Normal anion gap metabolic alkalosis

Correct answer: 1. Increased osmolar gap

Explanation: Antifreeze agent - Ethylene glycol | Causes Normal = 285 - 295 osm